Heme is synthesized in which part of the erythroblastic cells?
1. Golgi complex
2. Ribosomes
3. Endoplasmic reticulum
4. Mitochondrial matrix

Correct answer: 4. Mitochondrial matrix

Explanation: Heme is synthesized partly in mitochondria and partly in cytoplasm. It is synthesized from glycine and succinyl CoA.